Which is the material of choice to be given in class V cavities:
1. Silicate cement
2. Polycarboxylate cement
3. Glass ionomer cement
4. Unfilled resin

Correct answer: 3. Glass ionomer cement